Which of the following is a dihydrofolate reductase inhibitor?
1. Alcohol
2. Methotrexate
3. Cimetidine
4. Erythromycin

Correct answer: 2. Methotrexate

Explanation: Methotrexate, pemetrexed and pralatrexate are the inhibitors of dihydrofolate reductase (DHFRase). These drugs also inhibit Thymidylate Synthase (TS) and the enzymes involved in early purine synthesis. Methotrexate is the drug of choice for the treatment of choriocarcinoma. Methotrexate is also indicated in the management of rheumatoid arthritis, psoriasis and ectopic pregnancy. Adverse effects of methotrexate are bone marrow suppression and mucositis.